Under eradication of congenital rubella syndrome progarmme the first priority group for rubella vaccination is-
1. All non pregnant women of age 15-34
2. All adolescent non pregnant girls 15 to 24 years of age
3. All female children at one year
4. All non pregnant women

Correct answer: 1. All non pregnant women of age 15-34

Explanation: The priorities being first to protect women of child-bearing age (15-34 yrs of age) Then to interrupt transmission of rubella by vaccinating all children currently aged 1-14 yrs And subsequently all children at one year of age. Ref:PARK'S TEXTBOOK OF PREVENTIVE AND SOCIAL MEDICINE 23rd edition , Page:151